schultz dale phenomenon the following is true statements :
1. anaphylaxis in vitro
2. test to detect atopy
3. type v hypersenstivity reaction
4. test for allergic contact dermatitis

Correct answer: 1. anaphylaxis in vitro

Explanation: Schultz-Dale reaction A method for demonstrating anaphylactic hypersensitivity outside the body by suspending an excised intestinal loop or uterine strip from a sensitized animal in an oxygenated, physiological salt solution; addition of the proper allergen causes contraction of the smooth muscle. TYPE I Hypersensitivity * Type I hypersensitivity -- immediate or anaphylactic hypersensitivity * Immediate hypersensitivity is mediated by IgE * The primary cellular component in this hypersensitivity is the mast cell or basophil * The reaction is amplified by neutrophils and eosinophils ref /; anantharayana 9th ed